With chronic use in seizure state, the adverse effects of this drug include coarsening of facial features, hirsutism gingival hyperplasia and osteomalacia:
1. Ethosuccimide
2. Carbomazepine
3. Gabapentin
4. Phenytoin

Correct answer: 4. Phenytoin

Explanation: Gum hypertrophy: Commonest ( (b) Hirsutism, coarsening of facial features (troublesome in young girls), acne. REF:KD TRIPATHI 8TH ED.